Size of resting follicle :
1. 0.2 mm
2. 0.02 mm
3. 2 mm
4. 20 mm

Correct answer: 2. 0.02 mm

Explanation: Size of resting follicle -0.02 mm Size of follicle just before ovulation -20 mm.